Drug of choice for rapid cyclers in manic-depressive psychosis is:
1. Carbamazepine
2. Valproate
3. Phenytoin
4. Lithium

Correct answer: 2. Valproate

Explanation: uction in manic relapses is noted when valproate is used in bipolar disorder. It is now a first line treatment of acute mania in which high dose valproate acts faster and is an alternative to antipsychotic +- benzodiazepine. It can be useful in those not responding to lithium or not tolerating it. Patients with rapid cycling pattern may particularly benefit from valproate therapy Ref: KD Tripati 8th ed.